All of the following agents are useful in acromegaly EXCEPT:
1. Bromocriptine
2. Somatostatin
3. Octreotide
4. Nafarelin

Correct answer: 4. Nafarelin

Explanation: (Ref: KDT 6/e p239) Nafarelin is a GnRH agonist. It has no role in acromegaly.